Muscle relaxant excreted exclusively by kidney is:
1. Scoline
2. Atracurium
3. Vecuronium
4. Gallamine

Correct answer: 4. Gallamine

Explanation: Ans. is 'd' i.e. Gallamine 'Urinary Excretion of Gallamine is>95%. Its biliary excretion is <1 %."-Lee, 12/eGallamineIt is nephrotoxic so C/I in Renal Failure *.It crosses placenta so C/I in Pregnancy *.Some important facts about Muscle Relaxants which are frequently asked:M.R. undergone Hoffman's elimination - Atracurium*M.R. of choice in Ranal failure & Hepatic failure - Atracurium*M.R. causing maximum Histamine release - d-TC*M.R. causing minimum Histamine release - Vecuronium*M.R. C/I in Hepatic failure - d-TC*Pancuronium*Scoline*M.R. used in Bronchial Asthma - Atracurium* &Vecuronium*